Which of the following is an automsomal dominant metabolic disorder?
1. Cystic fibrosis
2. Phenyl ketonuria
3. a-I antitrypsin deficiency
4. Familial hyper cholestrolemia

Correct answer: 4. Familial hyper cholestrolemia

Explanation: Answer is D (Familial hypercholesterolemia):